In a case of hanging, ligature mark is an example of:
1. Contusion
2. Pressure abrasion
3. Laceration
4. Burn

Correct answer: 2. Pressure abrasion

Explanation: Ans. Pressure abrasion